Hypoparathyraoidism is seen in all of the following except:
1. Digeorge syndrome
2. Chronic renal failure
3. Wilsons disease
4. Haemochromatosis

Correct answer: 2. Chronic renal failure